In case of malpractice punishment is given by -
1. State medical council
2. MCI
3. IMA
4. High court

Correct answer: 1. State medical council

Explanation: The State Medical Council conducts enquiries on misconduct of all doctors. The complaint may be filed by a person or on the basis of information of misconduct of a doctor who has been convicted or censured by a court. Judgement is based on voting by the members. Dr.K.S.Narayana Reddys Synopsis of Forensic Medicine & Toxicology 27th edition Pg.13, 14